A patient is diagnosed to have CIN II. She approaches you for advice. You can definitely tell her the risk of malignancy as :
1. 15%
2. 60%
3. 30%
4. 5%

Correct answer: 4. 5%

Explanation: Ans. is d i.e. 5% Rate of progression of CIN : Regression to Normal 60% Persistence 30% Progression to CIN III 10% Progression to cancer < 1%